Most common cause of bone malignancy -
1. Secondaries
2. Osteosarcoma
3. Ewing's sarcoma
4. Osteoclastoma

Correct answer: 1. Secondaries

Explanation: OSTEOLYTIC SECONDARIES Tumor cells produce growtl factors that stimulate bone destruction i.e. RANK 'igen& Osteoclasts are activated and break down bone Osteoblasts cannot build bone back fast enough Decreased bone density and strength: high risk for fracture OSTEOBLASTIC SECONDARIES Osteoblasts are stimulated by tumors to lay down new bone Bone becomes abnormally dense and stiff Paradoxically bones are also at risk of breaking REF : MAHESWARI 9TH ED